All are true about management of uterine inversion, EXCEPT?
1. Repositioning of uterus should be attempted immediately if diagnosed at the time of inversion
2. May require laparotomy
3. In case of delayed presentation repositioning to be attempted only after securing IV lines and adequate anesthesia
4. Surgical management is hysterectomy

Correct answer: 4. Surgical management is hysterectomy

Explanation: MANAGEMENT OF UTERINE INVERSION Immediate management: manual repositioning, (iv access, fluid and blood for resuscitation) Delayed management: attempt manual repositioning under anesthesia (iv access, fluid and blood for resuscitation, hydrostatic method (O Sullivans) Surgical management: laparotomy f/b pulling uterus with clamps (huntington method), release of constriction ring (haultain method)